The inhalational agent of choice for neurosurgery -
1. Halothane
2. Enflurane
3. Isoflurane
4. N20

Correct answer: 3. Isoflurane

Explanation: Ans. is 'c' i.e., Isoflurane Anesthetic agents of choice for various conditionso Daycare:Propofolo Ischemic heart disease:Etomidateo Congenital heart disease # Left to right shunt:Isoflurane# Right to left shunt:Ketamineo CHF:Ketamineo Shock:Ketamineo To produce deliberate hypotensionIsofluraneo Epilepsy:Thiopentoneo For electroconvulsive therapy:Methohexitoneo Thyrotoxicosis:Thiopentoneo Cardiac surgery:Isofluraneo Neurosurgery:Isoflurane